Which of the following is usually spared in a gonococcal infection?
1. Urethra
2. Prostate
3. Testis
4. Epididymitis

Correct answer: 3. Testis

Explanation: The commonest site of infection is urethra. The testis is usually spared. Infection of the lower genital tract, the most common clinical presentation, primarily manifests as male urethritis and female endocervicitis. Infection of the pharynx, rectum, and female urethra occur frequently. Epididymitis or may occur in men after gonococcal urethritis. In men over 50, urethritis is often associated with an inflammation of the prostate gland (prostatitis). N. gonorrhoeae is spread by sexual contact or through vertical transmission during childbirth. It mainly affects the host's columnar or cuboidal epithelium.